A lady present with three day history of epigastric pain radiating to back. Serum amylase levels were observed to be normal while USG abdomen reveals gall bladder stones and an enlarged pancreas. CT scan was done which clinched the diagnosis. Which of the following is the most likely diagnosis
1. Acute Cholecystitis
2. Acute Pancreatitis
3. Acute Appendicitis
4. Acute Peritonitis

Correct answer: 2. Acute Pancreatitis

Explanation: Acute pancreatitis pain will radiate to back.Gall bladder calculi is the most common cause. Bailey and Love,26th,1127,1128